Elderly man with long-standing mole over the face which is increasing in size and showing irregular border. Diagnosis:
1. Superficial spreading melanoma
2. Lentigo maligna
3. Acral melanoma
4. Nodular melanoma

Correct answer: 2. Lentigo maligna

Explanation: Lentigo maligna- occur on face sun exposed areas of older individuals,long standing cases,manifests as a flat,dark,variably pigmented lesion,with irregular borders and a history of slow development,best prognosis Superficial spreading melanoma- m/c type , m/c site torso/trunk Nodular- most malignant,vertical growth phase + Acral melanoma-least common ,m/c site great toe nail